When undertaking bleaching of vital teeth of the
following are done except:
1. Prophylaxis
2. Use of protective eye glasses
3. Use of local anaesthesia
4. Polishing after treatment

Correct answer: 3. Use of local anaesthesia